The causative organism of rheumatic heart disease associated with rheumatic fever are:
1. Beta hemolytic streptococci
2. Beta hemolytic staphylococci
3. Alpha hemolytic streptococci
4. Gamma hemolytic streptococci

Correct answer: 1. Beta hemolytic streptococci